Regulation of coronary circulation
1. Autonomic
2. Autoregulatory
3. Hormonal
4. Sympathetic

Correct answer: 2. Autoregulatory

Explanation: Ans. (b) AutoregulatoryRef: Ganong, 25th ed/p.612AutoregulationIt is the capacity of the tissue to regulate their blood flow - intrinsic basal myogenic toneLocal Metabolism is the primary controller of coronary flow - O2 demand is a major factorThis mechanism works well even when the nerves are removed